A 56yr old male patient with sudden substernal pain,impending doom and died 4days after.on autopsy there was a large transmural anterior wall infarction.it would be associated with:
1. Presence of collagen and fibroblasts
2. Presence of neutrophils
3. Granulomatous inflammation
4. Granulation tissue

Correct answer: 2. Presence of neutrophils

Explanation: Granulation tisse appears vetween 8-10 days and collagen appears after 2months .between 3-7days ,neutrophils start disintegrating with early phagocytosis caused by macrophages ,presence of macrophages would have been a better answer but in the given question presence of neutrophils is best option .(ref Robbins 9/e p544)